On the interaction of X-ray with matter; Phenomenon occurring maximally is:
1. Compton scattering
2. Photoelectric emission
3. Coherent Scattering
4. None of the above

Correct answer: 1. Compton scattering